Intermaxillary suture are sometimes raised forming a longitudinal midline ridge known as
1. Torus auditory
2. Torus mandibularis
3. Torus palatine
4. Torus maxillaries

Correct answer: 3. Torus palatine

Explanation: Intermaxillary suture are sometimes raised forming a longitudinal midline ridge called torus palatine